Which stone is common in chronic laxative use:
1. Xanthine
2. Cysteine
3. Ammonia urate
4. Struvite

Correct answer: 3. Ammonia urate

Explanation: Ans. c. Ammonia urateRef: Campbells Urology/P. 210Chronic laxative use leads to decreased sodium in the urine, as most sodium is excreted by GIT.Hence urate binds more with ammonia and this leads to ammonia urate stones.